Vitamin required for hydroxyproline to proline conversion:
1. Vitamin C
2. Vitamin E
3. Pvrodoxal PO4
4. Biotin

Correct answer: 1. Vitamin C

Explanation: A i.e. Vitamin C